Dose reduction should be done for which of the following anticancer drug, if Allopurinol is used
1. Methotrexate
2. Mitoxantrone
3. 6-Mercaptopurine
4. Mitomycin-C

Correct answer: 3. 6-Mercaptopurine

Explanation: Allopurinol inhibits the metabolism of 6-mercaptopurine and result in toxicity. Therefore if Allopurinol is used, dose of 6-mercaptopurine should be decreased by 75%.